In severe acute malnutrition, arm circumference is less than (in cm):
1. 11.5
2. 12
3. 12.5
4. 13

Correct answer: 1. 11.5

Explanation: In children who are 6-59 months of age, severe acute malnutrition is defined asWeight-for-height <= -3 Z-score, orMid-upper-arm circumference <11.5 cm, orPresence of bilateral edema(Refer: Nelson's Textbook of Pediatrics, SAE, 1st edition, pg no. 301)